All of the following are used for treatment of hyperkalemia except -
1. Calcium gluconate
2. Sodium bicarbonate
3. Intravenous infusion of glucose with insulin
4. Beta blockers

Correct answer: 4. Beta blockers